Causes of floaters in DM is –
1. Vitreous hemorrhage
2. Vitreous detachment
3. Maculopathy
4. Infarction

Correct answer: 1. Vitreous hemorrhage

Explanation: "Any patient of diabetic retinopathy with floaters and vision loss need urgent referrel to rule out vitreous hemorrhage". — Basics of Ophthalmology